Mechanism action of Botulinum toxin is by
1. Increased cAMP
2. Increased cGMP
3. Inhibition of acetylcholine release
4. Inhibition of noradrenaline release

Correct answer: 3. Inhibition of acetylcholine release

Explanation: (C) Inhibition of acetylcholine release # Botulinum toxin (BTX) is a neurotoxic protein produced by Clostridium botulinums.> It prevents release of the neurotransmitter acetylcholine from axon endings at the neuromuscular junction & thus causes flaccid paralysis.> Infection with the bacterium causes the disease botulism.> Toxin is also used commercially in medicine, cosmetics and research.> Botulinum is the most acutely lethal toxin known, with an estimated human median lethal dose (LD50) of 1.3-2.1 ng/ kg intravenously or intramuscularly and 10-13 ng/kg when inhaled.# Botulinum toxin is used to treat> Overactive muscle movement, including post-stroke spasticity, post-spinal cord injury spasticity, spasms of the head and neck, eyelid, vagina, limbs, jaw, and vocal cords.> To relax clenching of muscles, including those of the oesophagus, jaw, lower urinary tract and bladder, or clenching of the anus which can exacerbate anal fissure.> Used for improper eye alignment> In the treatment correction of Strabismus> Prophylactic treatment of Chronic migraine headache.> Effective for reduction of facial wrinkles> Used to treat disorders of hyperactive nerves including excessive sweating, neuropathic pain, and some allergy symptoms> Evaluated for use in treating chronic pain